In a study carried out prospectively, out of 1000 truck drivers who were using mobile while driving, 300 met an accident. During the same period, out of 5000 truck drivers who were not using mobile while driving, 300 met an accident. Relative Risk is:-
1. 1
2. 3
3. 5
4. 0.2

Correct answer: 3. 5

Explanation: Exposure is mobile usage while driving, incidence of accidents under consideration is that of: Incidence of exposed (IE)= 300/1000 Incidence of non-exposed (INE) = 300/5000 RR(Relative Risk) = = 5 ( thus mobile usage is associated with 5 times increased incidence of accident)